Anterior uveitis earliest lesion -
1. Aqueous flare
2. Keratic precipitates
3. Circumcomeal congestion
4. Blurring of vision

Correct answer: 1. Aqueous flare

Explanation: Ans. is 'a' i.e,, Aqueous flare o Aqueous flare is the earliest sign of acute anterior uveitis.o Keratic precipitates is the pathognomic sign of acute anterior uveitisClinical features of acute anterior uveitiso Acute anterior uveitis is the most common form of uveits, accounting for 60-70% of cases. It is characterized by sudden onset and duration less than 3 months. Presentation is typical with sudden onset of unilateral pain, photophobia, redness, lacrimation and blepherospasm. Vision may be normal initially. However, later there may be distrubance in vision due to ciliary spasm (induced myopia), corneal haze (due to edema & KPs) and aqueous turbidity.o External examination shows following signsCircumcorneal (ciliary ) congestion Which has a violaceous hue.Corneal edema, posterior corneal opacities.Keratic precipitates (KPs):- are proteinaceous cellular deposits at the back of cornea on endothelium.Anterior chamber signs Aqueous cells, Aqueous flare, hypopyon, byphaemia (in hemorrhagic uveitis), deep anterior chamber (If posterior synachiae occurs).Iris signs Blurred & indistinct iris, i.e, muddy iris, instead of being clear and sharply defined.Pupillary signs Narrow (miotic) pupil, irregular pupil due to segmental posterior synechiae which gives festooned appearance (festooned pupil) when dilated with atropine, sluggish pupillary reaction, ectropion pupillae (evertion of pupillary margins), occlusio pupillae (due to complete occlusion of pupil by organised exudate).